Which of the following is wrong regarding ophthalmic artery
1. Present in dura along with optic nerve
2. Supplies anterior ethmoidal sinus
3. Artery to retina is end artery
4. Leaves orbit through inferior orbital fissure

Correct answer: 4. Leaves orbit through inferior orbital fissure

Explanation: Ans. is 'd' i.e., Leaves orbit through inferior orbital fissure Ophthalmic artery does not leave the orbit. It terminates near the medial angle of eye by dividing into supratrochlear and dorsal nasal branches.It lies along with optic nerve in a common dural sheath.It supplies anterior ethmoidal sinus by its anterior ethmoidal branch.Central artery to retina (branch of ophthalmic artery) is an end artery.